True about Gilbert syndrome is:
1. Conjugated hyperbilirubinemia
2. Starvation improves the condition
3. Phenobarbitone improves the condition
4. Life-threatening

Correct answer: 3. Phenobarbitone improves the condition

Explanation: Gilbert syndrome: Unconjugated hyperbilirubinemia Partial deficiency of UDPglucuronyl transferase enzyme Jaundice precipitated by fasting Phenobarbitone, being an enzyme inducer, improves the condition by increasing the activity of UDP glucuronyl transferase enzyme